Isotope of iodine used in treatment for brachytherapy of prostate carcinoma?
1. I-127
2. I-125
3. I-131
4. I-124

Correct answer: 2. I-125

Explanation: Isotopes in medicine: I 131 I 125 I 124 I 123 T1/2 8 DAYS 60 DAYS 4 DAYS 13 HOURS USES RADIOABLATION SYSTEMIC OF THYROID CANCER BRACHYTHERAPY FOR PROSTATE CANCER RADIOIMMUNOASSAY POSITRON EMITTER PET SCAN THYROID SCINTIGRAPHY Point to be remembered: ISOTOPE USED FOR TREATING PAPILLARY CARCINOMA OF THYROID IS IODINE-131 (I131)